The investigation of choice for meningeal carcinomatosis in CNS is:
1. Enhanced MRI
2. SPECT
3. PET
4. NCCT

Correct answer: 1. Enhanced MRI

Explanation: Ans. A. Enhanced MRI* Leptomeningeal carcinomatosis (LC) refers to diffuse seeding of the leptomeninges by tumor metastases.* LC occurs in 'an estimated 20% of patients diagnosed with cancer and is most commonly found in breast carcinoma, lung carcinoma, and melanoma in adults and hematogenous malignancies and primitive neuroectodermal tumor (PNET) in children.* Contrast-enhanced MRI of the brain and spine is the imaging modality of choice because of its safety, excellent contrast resolution, and multiplanar abilities.